All of the following are features of Turner syndrome, EXCEPT:
1. Streaky gonads
2. Webbed neck
3. Coarctation of aorta
4. Intellectual disability

Correct answer: 4. Intellectual disability

Explanation: Ans. D i.e. Intellectual disability